Stages of herpetic lesions includes all except
1. Vesicle
2. Crusting
3. Chancre
4. ulceration

Correct answer: 3. Chancre

Explanation: Herpes genitalis lesions show 3 stages of development 

Vesicle
Ulceration
Crusting.